Most common primary leading to secondaries in pancreas
1. Lung
2. Breast
3. Colon
4. Stomach

Correct answer: 1. Lung

Explanation: Metastatic Tumors to pancreas MC site of primary : RCC > Malignant melanoma On autopsy, most common primary : CA Lung Ref: Sabiston 20th edition Pgno : 1544